First eye muscle affected in thyroid disease
1. Lateral rectus
2. Inferior rectus
3. Medial rectus
4. Superior rectus

Correct answer: 2. Inferior rectus

Explanation: Thyroid related ophthalmopathy 5 times more common in female Extra ocular muscles involvement: I - Inferior rectus Am - Medial rectus So - Superior rectus Lucky - Lateral rectus